Combined oral pill reduces the risk of:
1. Breast cancer
2. Ovarian cancer
3. Cervical cancer
4. Vaginal cancer

Correct answer: 2. Ovarian cancer